Nerve supply of the tympanic membrane is by
1. Auriculotemporal
2. Lesser occipital
3. Greater occipital
4. Parasympathetic ganglion

Correct answer: 1. Auriculotemporal

Explanation: The auriculotemporal nerve supplies the anterior half of the lateral surface. Auricular branch of vagus nerve supplies posterior half of lateral surface. Tympanic branch of CN 9 supply medial surface. Reference: Dhingra 6th edition